Commonest site of volvulus is:
1. Proximal jejunum
2. Stomach
3. Cecum
4. Sigmoid

Correct answer: 4. Sigmoid